Which of the following is the hallmark of programmed cell death ?
1. Apoptosis
2. Coagulation necrosis
3. Fibrinoid necrosis
4. Liquefaction necrosis

Correct answer: 1. Apoptosis

Explanation: Ans. is 'a' i.e., Apoptosis